Macrocytic anaemia is caused by all EXCEPT :
1. Pyrimethamine
2. Methotrexate
3. Pentamidine
4. Trimethoprim

Correct answer: 3. Pentamidine